The non-pressure or the mucostatic techniques of impression making was introduced by
1. Page
2. Boucher
3. Carole Jones
4. Hall

Correct answer: 1. Page